Most common brain tumor in adults?
1. Glioma
2. Metastases
3. Meningioma
4. Astrocytoma

Correct answer: 2. Metastases

Explanation: Metastases is the most common type of brain tumor id adults.
Most common primary for Metastases is lung.